In an Anti-mortem burn which is NOT true -
1. Line of redness
2. Increase in enzymes
3. Vesicle formation
4. Non-albuminous bulla

Correct answer: 4. Non-albuminous bulla

Explanation: Ans-D Antemortem burnsPost mortem burnsLine of rednessVesiclesInfectionHealingSoot in upper resp. tract Carboxyhemoglobin in blood EnzymesPresent*Contain albuminous fluid & chloride*Pus and sloughingGranulation*Present *Present*Increase in enzymes*Absent*Contain Air*NilNilAbsentAbsentNo such increase** Apart from these differences:Finding particles of soot in the air passage and stomach*And cherry red colour of blood due to presence of CO are sure signs of death from burning